Commonest location for Craniopharyngioma is
1. Intrasellar
2. Suprasellar
3. Intraventricular
4. Intracerebral

Correct answer: 2. Suprasellar

Explanation: Commonest site of craniopharyngioma is Supra sellar region . Craniopharyngiomas are primarily suprasellar tumors (75%) while a small intrasellar component is present in 20-25% of cases . Purely intrasellar location is quite uncommon (<5%), and may be associated with the expansion of the pituitary fossa . Larger tumors can extend in all directions, frequently distorting the chiasm or compressing the . Occasionally, craniopharyngiomas appear as intraventricular, homogeneous, soft-tissue masses without calcification (papillary subtype). The third ventricle is a particularly common location. Reference: GHAI Essential pediatrics, 8th edition